With which of the following of viral hepatitis infection in pegnancy, the maternal mortality is highest -
1. Hepatitis A
2. Hepatitis B
3. Hepatitis C
4. Hepatitis E

Correct answer: 4. Hepatitis E